Selective a1 - A blocker is -
1. Prazosin
2. Terazosin
3. Tamsulosin
4. Indoramine

Correct answer: 3. Tamsulosin

Explanation: Ans. is 'c' i.e., Tamsulosin